Who looks after the work of Anganwadi worker
1. ANM
2. ASHA
3. Mukhya Sevika
4. Village health guide

Correct answer: 3. Mukhya Sevika

Explanation: Ref:Park's Textbook of Preventive and Social Medicine 25th Ed